Commonest route of spread of Tuberculosis to genital tract is:
1. Lymphatic spread
2. Hematogenous spread
3. Direct spread
4. Sexually transmitted

Correct answer: 2. Hematogenous spread

Explanation: • Genital TB is almost always secondary to focus elsewhere.
• Primary focus is in lungs (50%), lymph nodes (40%) cases.
• Hematogenous spread is the commonest mode followed by direct spread and ascending route.
• Only about 10 percent of genital TB cases have children.
• “Salpingitis isthimica nodosa” is nodular thickening of tubes in genital TB.
• Endometrium of uterus is involved in 60 percent cases.
• Cervix is involved in 10 to 15% of cases.